High output renal failure may be caused by:
1. Methoxyflurane
2. Diethyl ether
3. Enflurane
4. Halothane

Correct answer: 1. Methoxyflurane

Explanation: Methoxyflurane